Paradoxical splitting of second heart sound is seen in?
1. RBBB
2. ASD
3. LBBB
4. VSD

Correct answer: 3. LBBB

Explanation: Answer is C (LBBB) Left Bundle Branch Block (LBBB) is typically associated with Reversed or Paradoxical Splitting of S2 Paradoxical splitting of second heart sound is caused by delayed A2 or early P2. Left Bundle Branch Block (LBBB) is associated with delayed Aortic closure (delayed A2) due to delayed electrical activation of the left ventricle. ASD and RBBB are associated with a wide physiological (non-paradoxical) split of second heart sound due to delayed pulmonic closure (Delayed P2) while VSD is associated with a wide physiological (non-paradoxical) split second heart sound from early aortic closure (Early A2).